Light reflex absent but accommodation reflex present is seen in:
1. Hutchison's pupil
2. Argyl Robertson pupil
3. Adie pupil
4. Homer's syndrome

Correct answer: 2. Argyl Robertson pupil

Explanation: B i.e. Argyl Robertson pupil